Inhibition of glycogenolysis and gluconeogenesis is caused by
1. Insulin
2. Glucogon
3. Glucocorticoid
4. Epinephrine

Correct answer: 1. Insulin

Explanation: Insulin, a key inhibitor of hepatic glucose production, has effects on both glycogenolysis and gluconeogenesisRef: DM Vasudevan, 7th edition